McDonald stitch is applied in the following conditions except :
1. Incompetent os
2. Septate uterus
3. Placenta previa
4. Bad obstetrical history

Correct answer: 3. Placenta previa

Explanation: Placenta previa